What is not true about yersiniosis -
1. Zoonosis
2. Caused by Y pestis
3. By yersinia enterocolitica
4. By yersinia pseudotuberculosis

Correct answer: 2. Caused by Y pestis

Explanation: Ans. is 'b' i.e., Caused by yersinia pestis Infection caused by yersinia genus are divided into :- i) Plague :- It is a deadly infectious disease caused by yersinia pestis. ii) Yersinosis :- It is characterized by infectious diarrhea, enteritis, ileitis and occasionally septicemia. It is caused by yersinia enterocolitica (most common) and yersinia pseudotuberculosis.